Drug causing hemolysis in G6PD deficiency -
1. Chloroquine
2. Primaquine
3. Quinine
4. Halofantrine

Correct answer: 2. Primaquine

Explanation: Ans. is 'b > c > a' i.e., Primaquine > Quinine > Chloroquine o Among antimalarial drugs, primaquine, quinine and occasionally chloroquine can cause hemolytic anemia in G6PD deficiency.o But, primaquine has the highest potential to cause hemolytic anemia in patients with G6PD deficiency and, the patients with G6PD dificiency are highly senstive to primaquineo The hemolytic potential in G6PD deficiency patients -Primaquine (maximum) > Quinine > Chloroquine (rare).Drugs causing hemolytic Anaemia in G-6-DI) deficiencvo Aminosalicylic acido Antimalarials - Primaquine, Quinineo Analgesics - Aspirin, Acetanilido Chloramphenicolo Cotrimoxazoleo Dapsoneo Nalidixic acido Nitrofurantoino Phenacetino Probenecido Procainamide o Quinidineo Sulfonamides (Sulfamethoxazole)o Vitamin Co Vitamin K (water soluble form) o Methylene blue o Niridazole - Phenazopyridine o DoxorubicinNote: Nitrofurantoin is a furazolidone.